Anatomical sphincter of fallopian tubes :
1. Infundibulum
2. Isthmus
3. Intramural
4. Ampulla

Correct answer: 3. Intramural

Explanation: The intramural part is the innermost part of the fallopian tube which traverses the myometrium to open into endometrial cavity. It is the shortest part length being 18 mm and narrowest part with internal diameter being 1mm or less so that only finest cannula can be passed through it during salpingostomy operation. Ref: Shaw's Textbook of Gynaecology, 15th edition, page no: 11